Extensive pleural thickening and calcification especially involving the diaphragmatic pleura are classical features of:
1. Coal worker's pneumoconiosis
2. Asbestosis
3. Silicosis
4. Siderosis

Correct answer: 2. Asbestosis

Explanation: B i.e. Asbestosis Radiological features of Asbestosis: - Pleural thickening and calcification primarily localized along lateral chest wall and diaphragmQ. - Differentiated from postinflamatory and post-traumatic pleural thickening & calcification by it's Bilateral involvement and sharp costophrenic angles in asbestosisQ. - Pleural thickening & calcification may be seen following minor exposure whereas pulmonary fibrosis only follows significant exposure Pulmonary fibrosis in asbestosis is bilateral and maximal at bases whereas in coal workers pneumoconiosis and Silicosis upper half of the lung is mainly involved.Q